Conversion of fibrinogen to fibrin is by
1. Prothrombin
2. Factor XIII
3. Thrombin
4. Kallikrein

Correct answer: 3. Thrombin

Explanation: Thrombin converts soluble fibrinogen to fibrin monomer Prothrombin is the precursor or thrombin Factor XIII is fibrin stabilization factor Kallikrein activates factor XII Ref: Medical Physiology Indu Khurana 2015 edition page No:154